Which statement regarding electrocochleography is TRUE?
1. A method of recording auditory evoked response taken from cochlea and auditory nerve
2. Summation potential (SP) is a component of synchronised auditory nerve potentials
3. Cochlear microphonics is resting receptor potential of outer hair cells
4. Whole nerve AP represent direct current endocochlear AP produced by an acoustic stimulation

Correct answer: 1. A method of recording auditory evoked response taken from cochlea and auditory nerve

Explanation: Electrocochleography is a near-field technique that monitors the most peripheral components of the auditory system. It measures electrical potentials arising in the cochlea and auditory nerve in response to auditory stimuli within first 5 milliseconds. Auditory stimuli are delivered to the cochlea commonly in the form of a wideband click, composed of many frequencies that stimulate the entire cochlea. Cochlear potentials that can be recorded from humans include the cochlear microphonic potentials, the summating potential(SP) and the compound action potential(AP) of the auditory nerve. The SP and AP are the most important components of electrocochleography. EcoG is useful: To find threshold of hearing in young infants and children to within 5-10 dB To differentiate lesions of cochlea from those of the VIIIth nerve. Normally the ratio between the amplitude of summating potential to the action potential is less than 30%. An increase in this ratio is indicative of Meniere's disease.